Nitrosoureas used in the treatment of cancer are?
1. Carmustine
2. 5FU
3. Methotrexate
4. Cisplatin

Correct answer: 1. Carmustine

Explanation: Ans. is 'a' i.e., Carmustine Nitrosoureas Nitrosoureas (Lomustine and carmustine) are highly lipid soluble alkylating agents - cross blood - brain barrier - Effective in meningeal leukaemias and brain tumours. Nitrosoureas are highly lipid soluble and can cross blood brain barrier used in brain tumors like gliomas. Because they cross BBB, most common adverse effects are nausea, vomiting and other CNS effects. Bone marrow depression is peculiarly delayed, taking nearly 6 weeks to develop. - delayed neutropenia Nitrosoureas can cause visceral fibrosis and renal damage.